Choose the most effective drug for mild intestinal amoebiasis and asymptomatic cyst passers:
1. Metronidazole
2. Emetine
3. Quiniodochlor
4. Diloxanide furoate

Correct answer: 4. Diloxanide furoate

Explanation: -Diloxanide furoate is drug of choice for luminal ameobiasis and carriers. -Metronidazole is drug of choice for intestinal and extra-intestinal ameobiasis.